The virus, which spreads by both hermatogenous and neural route is -
1. Rabies virus
2. Varicella zoster virus
3. Poliovirus
4. E.B. Virus

Correct answer: 3. Poliovirus

Explanation: The virus multiplies initially in the epithelial cells of the alimentary canal and the lymohatic tissues from tonsil to peyer's patches. It then spreads to the rwgiinal lymoh node and enters blood stream. Direct neural transmission ti the CNS may also occur. REF:ANANTHANARAYAN AND PANIKER'S TEXTBOOK OF MICROBIOLOGY 9TH EDITION PAGE NO:486